Wilms' tumor is the most common primary malignant tumor of the kidney in children. Wilms' tumor is associated with all of the following conditions, EXCEPT:
1. Hemihypertrophy
2. Aniridia
3. Hypertension
4. Bilateral polycystic kidney disease

Correct answer: 4. Bilateral polycystic kidney disease

Explanation: Symptoms of Wilms' tumor include asymptomatic mass in the flank or upper abdomen, hypertension, hematuria, obstipation, and weight loss. Genetic predispositions of Wilms' tumor include the WAGR syndrome, which consists of Wilms' tumor, aniridia, genitourinary abnormalities, and mental retardation. In addition, there is an increased incidence of Wilms' tumor in certain overgrowth conditions, particularly Beckwith-Wiedemann syndrome and hemihypertrophy. Genitourinary abnormalities such as hypospadias, cryptorchidism, and renal fusion. Ref: Hackam D.J., Grikscheit T.C., Wang K.S., Newman K.D., Ford H.R. (2010). Chapter 39. Pediatric Surgery. In F.C. Brunicardi, D.K. Andersen, T.R. Billiar, D.L. Dunn, J.G. Hunter, J.B. Matthews, R.E. Pollock (Eds), Schwartz's Principles of Surgery, 9e.